Which of the following is a stochastic effect of radiation?
1. Alopecia in the irradiated portal
2. Local desquamation in the irradiated field
3. Genetic mutation
4. All of the above

Correct answer: 3. Genetic mutation

Explanation: Ans. C. Genetic mutationIn deterministic/stochastic effects of radiation: Independent of the total dose of radiation. It is an all are none phenomenon.e.g. Genetic mutations.Deterministic/Non stochastic effects of radiation. Depend on the total dose of radiation given, e.g. Alopecia in the irradiated portal.